Yellow bag is destroyed by
1. Incineration
2. Autoclave
3. Hot air oven
4. Steam sterilization

Correct answer: 1. Incineration

Explanation: Ref: PubMedCat.Type of Bag/ Container usedType of wasteTreatment/ disposal optionsYellowNon-chlorinated plastic bagsSeparate collection system leading to effluent treatment system* Human anatomical waste* Animal anatomical waste* Soiled waste* Expired or discarded medicines* Chemical waste* Micro, Bio-t and other clinical lab waste* Chemical liquid wasteIncineration of Plasma pyralysis or deep burial*RedNon-chlorinated plastic bags or containersContaminated waste (Recyclable) tubing, bottles, intravenous tubes and sets, catheters, urine bags, syringes (without needles) glovesAuto/Micro/Hydro and then sent for recycling not be sent to landfillWhite/TranslucentPuncture, leak, tamper proof containersWaste sharps including metalsAuto or Dry Heat Sterlization followed by shredding or multilation or encapsulationBlueCardboard boxes with blue colored markingGlasswareDisinfection or auto/Micro/hydro and then sent for recycling